All are indications for postoperative radiotherapy in a case of Carcinoma Endometrium Except
1. Myometrial invasion >1/2 thickness
2. Positive lymph nodes
3. Endocervical involvement
4. Tumor positive for estrogen receptors

Correct answer: 4. Tumor positive for estrogen receptors

Explanation: Pelvic postoperative radiotherapy (external) in a dose of 6000 cGy over a 6-week period is recommended in high-risk cases such as an undifferentiated tumor, myometrial infiltration, pelvic node involvement, and in serous, clear cell and adenosquamous carcinoma. The postoperative radiotherapy is required in Stages IA (Grade 3), IA2, IB and II. Whole-abdomen radiation is required when para-aortic lymph nodes are involved while protecting the liver and kidneys.The most important factors in considering the need for postsurgical radiotherapy are (1) histology; (2) grading as studied by biopsy and (3) depth of myometrial invasionas seen by ultrasound, MRI and at the time of surgery.Ref: Shaw's textbook of gynecology; 16th edition; Page no: 512